Amino acid which lacks chirality is
1. Lysine
2. Leucine
3. Histidine
4. Glycine

Correct answer: 4. Glycine

Explanation: The α-carbon of amino acids has four different groups attached to it and so is a chiral or asymmetric carbon.
The only amino acid which does not have four different groups attached to α-carbon is glycine, i.e. glycine does not have chiral carbon or chirality.